Which of the follow ing is not a pyrimidine -
1. Uracil
2. Thymine
3. Adenine
4. Cytosine

Correct answer: 3. Adenine

Explanation: Ans. is 'c' i.e., Adenine o Two types of bases are found in nucleotides : (i) purines and (ii) pyrimidines.Purines : Tw o major purine bases found both in DNAs as well as RNAs are (i) adenine (A) and (ii) guanine (G).Pyrimidines : Three major pyrimidine bases are (i) cytosine (C), (ii) Uracil (U) and (iii) Thymine (T). Cytosine and uracil are found in RNAs and cytosine and thymine are found in DNAs. Uracil is not found in DNAsQ and thymine is notfound in RNAs.